Rabies virus -
1. Can be isolated from the blood of infected patients
2. Has multiple antigenic types
3. Can be transmitted by a dog 4 weeks before the dog becomes noticeably ill
4. Produce infection that is almost fatal to humans

Correct answer: 4. Produce infection that is almost fatal to humans

Explanation: In case of rabies virus death was considerd inevitable and no serious attempt at treatment was made REF:ANANTHANARYANAN TEXT BOOK OF MICROBIOLOGY 9EDITION PGNO.533